Incidence of Pneumocystis jiroveci pneumonia has declined in recent times due to which of the following?
1. Better living conditions
2. Decrease in the incidence of HIV infection
3. Use of combination ART
4. Stronger immunity of the cohort

Correct answer: 3. Use of combination ART

Explanation: Answer- C. Use of combination APneumocystis pneumonia (PCP), once the hallmark of AIDS, has dramatically declined in incidence following the development of effective prophylactic regimens and the widespread use of cART.